Which of the following nerve is damaged in the fracture of the shaft of the humerus:
1. Musculocutaneous nerve
2. Radial nerve
3. Ulnar nerve
4. Median nerve

Correct answer: 2. Radial nerve

Explanation: Ans. B: Radial NerveRadial nerve injury occurs in up to 18% of cases of fracture shaft humerus.It is most common with middle third fractures, although best known for its association with Holstein-Lewis type distal third fracture, which may entrap or lacerate the nerve as it passes through the intermuscular septum.Most injuries are neurapraxias or axonotmesis; function will return within 3 to 4 months; laceration is more common in open fractures or gunshot injuries.Delayed surgical exploration should be done after 3 to 4 months if there is no evidence of recovery by electromyography or nerve conduction velocity studies.